Thrombocytosis may be seen in the following conditions except -
1. Idiopathic myelofibrosis
2. Chronic myeloid leukemia
3. Essential thrombocythemia
4. Hypersplenism

Correct answer: 4. Hypersplenism

Explanation: Reactive thrombocytosis is seen in chronic inflammatory disorders ,hemolytic anemia , malignant disease , tissue damage, post-splenectomy,post-hemorrhage . Clonal thrombocytosis is seen in primary thrombocythemia,polycythaemia rubra vera,chronic myeloid leukaemia ,myelofibrosis,myelodysplastic syndromes .Reference:Davidson's principles & practice of medicine 22nd edition pg no 1008